what is drug of choice in hypoactive desire disorder in females ?
1. kitanserine
2. sildanifil
3. modafinil
4. flibanserine

Correct answer: 4. flibanserine

Explanation: Disorders of Interest and Arousal 1) Male Hypoactive Sexual Desire Disorder: characterized by a lack of interest in sex and little sexual activity and fantasizing. Physical responses may be normal. Prevalent in about 16% of men. DOC : ketanserine, sildanifil 2) Female Sexual Interest / Arousal Disorder: characterized by a lack of normal interest in sexual activity and fantasizing. Women with this condition rarely initiate sexual activity and may experience little excitement during sexual activity. Reduced sexual interest and desire may be found in as many as 33% of women. doc : flibanserine ref : kd tripathi 8th ed